Prophylactic gonadectomy is done in:
1. Klinefelter’s syndrome
2. Testicular feminising syndrome
3. Kalaman’s syndrome
4. Down’s syndrome

Correct answer: 2. Testicular feminising syndrome

Explanation: In testicular feminizing, syndrome the testes are undescended (in fact there are no scrotal sacs).
As in all forms of cryptorchidism, the major complication of undescended testes is the development of tumors, so prophylactic gonadectomy is done to prevent testicular cancer.
But gonadectomy is delayed until puberty so that the patient may undergo proper feminine development